Adenoids are also called as
1. Nasopharyngeal tonsils
2. Palatine tonsils
3. Faucial tonsils
4. Lingual tonsils

Correct answer: 1. Nasopharyngeal tonsils

Explanation: The nasopharyngeal tonsil, commonly called "adenoids". Adenoids are situated at the junction of the roof and posterior wall of the nasopharynx. Composed of vertical ridges of lymphoid tissues. Covering epithelium is of 3 types - Ciliated pseudostratified columnar, stratified squamous and transitional. Have no crypts and any capsule, unlike palatine tonsil. (Ref: Diseases of Ear, Nose and Throat, PL Dhingra; 7th edition, pg no. 275)